True about halothane:
1. Causes bronchodilation
2. Anti-arrhthmic
3. Can be used in hepatitis
4. Uterine contraction occurs

Correct answer: 1. Causes bronchodilation

Explanation: A i.e. Causes bronchodialation